Adrenaline, noradrenaline and dopamine act through?
1. Two pass receptor
2. Ligand gated channel
3. Seven pass receptor
4. One pass receptor

Correct answer: 3. Seven pass receptor

Explanation: Ans is 'c' i.e. Seven pass receptor o Adrenergic receptors (Adrenaline, noradrenaline) and dopamine receptors are G-protein coupled receptors which are heptahelical receptors, i.e., have seven transmembrane spanning segments (Seven pass receptors)